About DNA which of the following is true:
1. The nucleotide of one strand form bonds with nucleotide of opposite strand.
2. Cytosine and Uracil differ by one ribose sugar
3. The information from DNA is copied in the form of tRNA
4. Each nucleotide pair includes two purines.

Correct answer: 1. The nucleotide of one strand form bonds with nucleotide of opposite strand.

Explanation: Ans. A. The nucleotide of one strand form bonds with nucleotide of opposite strandOne strand of DNA join with other strand of DNA by means of Hydrogen bond between the bases.Cytosine and uracil differ by amino group.The information in the DNA is copied in the form of mRNA. Each nucleotide pair includes one purine and one pyrimidine.